The marker for determining efficacy of hepatitis B vaccination is:
1. HBs Ag
2. IgM Anti HBc
3. IgG Anti HBc
4. Anti - HBs Ag

Correct answer: 4. Anti - HBs Ag

Explanation: Answer is D (Anti-HBs Ag) Anti-HBsAg is the only serological marker to appear after immunization with hepatitis vaccine. Diagnostic interpretation Hbs Ag Anti Hbs Anti HBc Hbc Ag Anti Hbe Immunization with Hbs Ag - + - - - (? Hepatitis B is remote past) (? False positive) Isolated Anti-HBs Ag in serum is seen in immunization with HBs Ag. Possible Causes of Isolated Anti-HBsAg Positivity in serum (Other markers negative hnnumization with 11BsAg (after vaccination) Hepatitis B in the remote past (?) False-positive